Biconvex hyperdense shadow on non-contrast CT scan is seen in:
1. Extradural haemorrhage
2. Subdural haemorrhage
3. Subarachnoid haemorrhage
4. Intraventricular haemorrhage

Correct answer: 1. Extradural haemorrhage

Explanation: Ans. Extradural haemorrhage